All the following are examples of diseases causing Aplastic anemia except :
1. PNH
2. Hepatitis
3. Pregnancy
4. Cold hemoglobinuria

Correct answer: 4. Cold hemoglobinuria

Explanation: Answer is D (Cold haemoglobinuria) Paroxysmal Cold Hemoglobinuria is a form of immune mediated hemolytic anemia and is not a form of aplastic anemia. Pregnancy, PNH and hepatitis have all been mentioned as causes of Aplastic anemia. Classification Of Aplastic Anemia And Cytopenias : Acquired Aplastic Anemia Inherited Aplastic Anemia Radiation Drugs and chemicals Regular effects Idiosyncratic reactions Viruses Epstein-Barr virus (infectious mononucleosis) Hepatitis (non-A, non-B, non-C hepatitis) Parvovirus B19 (transient aplastic crisis. PRCA) HIV-1 (AIDS) Immune diseases Eosinophilic fasciitis Hypoi-immunophilic globulinemia Thymoma/thymic carcinoma Graft-versus-host disease in Immunodeficiency Paroxysmal nocturnal hemoglobinuria Pregnancy Idiopathic Fanconi's anemia Dyskeratosis congenita Shwachman-Diamond syndrome Reticular dysgenesis Amegakaryocytic thrombocytopenia Familial aplastic anemias Preleukemia (monosomy 7, etc.) Nonhematologic syndrome (Down's Dubowitz, Seckel)